Shingles are seen in -
1. IMN
2. Herpes zoster
3. Chicken pox
4. Small pox

Correct answer: 2. Herpes zoster

Explanation: Herpes zoster or shingles characterized by rash consisting of GP of vesicles spread along with a dermatomal distribution REF:IADVLS DERMATOLOGY PGNO.73